Definitive diagnosis of oral cancer is made by
1. Complete radiographic survey
2. Biopsy
3. Exfoliative cytology
4. Pantograph

Correct answer: 2. Biopsy